True about dual sex therapy is:
1. Patient alone is not treated
2. Uses sildenafil
3. It treats sexual perversion
4. It is used for people with dual gender identities

Correct answer: 1. Patient alone is not treated

Explanation: In dual sex therapy, the couple is treated and not an individual. It is also known as Masters and Johnson technique As per this therapy, sensory awareness between the couple needs to be improved to treat them . Communication also needs to be improved between the couple This therapy is used in cases of erectile dysfunction and premature ejaculation. Technique named as Sensate focus was given for sensory awareness